Cell lining of small intestine -
1. Simple squamous
2. Stratified squamous
3. Simple columnar
4. Stratified columnar

Correct answer: 3. Simple columnar

Explanation: Explainatin 2: The intestinal epithelium is the layer of cells that forms the luminal surface or lining of both the small and large intestine (colon) of the gastrointestinal tract. It is composed of simple columnar epithelium. It has two important functions: absorbing helpful substances and providing a barrier against harmful substances. Explainatin 1:Ans. is 'c' i.e., Simple columnar o Simple columnar epithelium : It is made up of tall columnar cells. Simple columnar cells may be :Simple columnar epithelium (without cilia and microvilli) : Lining of stomach, large intestine, collecting duct and cervical canal.Columnar epithelium with striated border (regularly arranged microvilli) : Lining of small intestine.Columnar epithelium with brush border (irregularly placed microvilli) : Lining of gall bladder.Ciliated columnar epithelium (presence of cilia) : Lining of uterus, fallopion tube, eustachian tube, tympanic cavity and central canal of spinal cord and ventricles.o Linining of gall-bladder is columnar epithelium with brush border (irregularly placed microvilli).Type of epitheliumTissue or organSimple squamousLung alveoliMesothelium lining serous surfacesEndocardium and endotheliumLoop of henle in nephronKeratinized stratified squamousEpidermis of skinDuct of sebaceous glandNon keratinized stratified squamousTongue, tonsil, pharynx, esophagusCorneaVaginaSimple columnar epithelium(without cilia and microvilli)Lining of stomach and large intestineCervical canalColumnar epithelium with striated border(regularly arranged microvilli)Lining of small intestineColumnar epithelium with brush border(Irregularly placed microvilli)Gall bladderCiliated columnar epithelium(cilia on surface for propulsion of fluid)Uterus and fallopian tubesEustachian tubeCentral canal of spinal cord and ventricles of brainRespiratory epitheliumSecretory columnar epithelium (with goblet cells)Stomach and intestinesTrachea and bronchiPseudostratified columnar epitheliumOlfactory epitheliumTracheaEustachian tubeVas + deferensUrethraCuboidal epitheliumDucts of glandsThyroid folliclesOvarian surface epitheliumTransitional epithelium (Crothelium)Renal pelvis, calyces, ureter, urinary bladder and part of urethra